Which muscle of larynx is not supplied by recurrent laryngeal nerve?
1. V ocalis
2. Thyroarytenoid
3. Cricothyroid
4. Interarytenoid

Correct answer: 3. Cricothyroid

Explanation: All intrinsic muscles of the larynx are supplied by the recurrent laryngeal nerve except for the cricothyroid which is supplied by the external laryngeal nerve. Ref BDC volume 3;Sixth edition pg 257